All are common causes of stridor except:
1. Foreign body in larynx and trachea
2. Laryngomalacia
3. Atrophic laryngitis
4. Multiple papillomas of larynx

Correct answer: 3. Atrophic laryngitis

Explanation: c. Atrophic laryngitis(Ref: Nelson's 20/e p 2113-2116)Atrophic Laryngitis usually manifests with hoarseness & irritable cough; Rest 3 conditions can manifest as stridor.